Most common type of shock in surgical practice:-
1. Cardiogenic
2. Hypovolemic
3. Neurogenic
4. Septic shock

Correct answer: 2. Hypovolemic

Explanation: Most common type of shock in surgical practice is hypovolemic shock. HYPOVOLEMIC SHOCK Causes of hypovolemic shock: Blood lossQ(Trauma, bleeding) Loss of plasma due to extravascular fluid sequestration in burnsQ Loss of body sodium & water (diarrhea & vomitingQ)